Dose of centchroman is -
1. 30 mg
2. 60 mg
3. 120 mg
4. 240 mg

Correct answer: 1. 30 mg

Explanation: Ans. is 'a' i.e., 30 mg Cetchroman (Saheli)o Ormeloxifene, research product of Central Drug Research Institute, Lucknow, India.o It is a potent non - steroidal compound with potent anti - estrogenic and weak estrogenic properties. It is taken orally (30 mg) twice a wreek for first three months then once a wreek.o It works primarily by preventing implantation of fertilized ovum. It does not inhibit ovulation,o It is avoided in PCOD, writh liver and kidney diseases and in tuberculosis. There may be a tendency of oligomenorrhoea.o The failure rate is 1 - 4/100 woman years of use. Failure rate is less with increased doses. It is devoid of any significant adverse metabolic effect.o This may also be used as a emergency contraceptive.